Salvage pathway of purine biosynthesis is important for ?
1. Liver
2. RBCs
3. Kidney
4. Lung

Correct answer: 2. RBCs

Explanation: Purine nucleotide synthesis occurs by two pathways : 1.De novo synthesis 2.Salvage pathway Liver is the major site of purine nucleotide biosynthesis (de novo). Certain tissues cannot synthesize purine nucleotides by de novo patyway, e g. brain, erythrocytes and polymorphonuclear leukocytes. These are dependent on salvage pathway for synthesis of purine nucleotides by using exogenous purines, which are formed by degradation of purine nucleotides synthesized in liver.